Which one of the following is NOT a characteristic or tuberous sclerosis -
1. Seizures
2. Adenoma sebaceum
3. X-linked recessive inheritance
4. Shagreen patches

Correct answer: 3. X-linked recessive inheritance